The chief cells of the stomach secrete
1. Intrinsic factor
2. Hydrochloric acid
3. Pepsinogen
4. Gastrin

Correct answer: 3. Pepsinogen